Popcorn calcification on chest X-ray seen in:
1. Hamartoma
2. Granuloma
3. Metastasis
4. Sarcoidosis

Correct answer: 1. Hamartoma

Explanation: Ans A (Hamartoma) Popcorn calcificationQ is pathognomonic for hemartoma on chest x-ray-Harrison 17th/562Acute histoplasmosis cause popcorn calcification of mediastinal lymph node -Danhert Radiology Review manual Sth/498Degenerated fibroadenoma also form popcorn like calcification(r)- Danhert Radiology Review manual 5th/541Hamartoma Danhert Radiology Review manual 5ch/490# Location: 2/3 peripheral; endobronchial in 3-10-20%; multiplicity (rate)# Round smooth lobulated mass <4 cm (averages 2.5 cm calcification in 15-20% (almost pathognomonic of chon droid "popcorn" type)# Fat density (DIAGNOSTIC)# Cavitation (extremely rare)